Which of the following is a marker for Langerhans cell histiocytosis?
1. CD 1a
2. CD 10
3. CD 30
4. CD 56

Correct answer: 1. CD 1a

Explanation: The proliferating Langerhans cells in Langerhans cell histiocytosis are HLA-DR positive and express the CD1 antigen. Ref: Robin's Basic Pathology, 7th Edition, Page 441.